An avulsed tooth before replantation should be treated with?
1. Doxycycline
2. Dexamethasone
3. Ampicillin
4. Ibuprofen

Correct answer: 1. Doxycycline